Kaposis sarcoma is seen with -
1. HCV
2. HPV
3. HSV
4. HHV

Correct answer: 4. HHV

Explanation: Kaposi sarcoma (KS) is a vascular neoplasm caused by Kaposi sarcoma herpesvirus (KSHV, also known as human herpesvirus- 8, or HHV-8). Although it occurs in a number of contexts, it is by far most common in patients with AIDS; indeed, its presence is used as a criterion for the diagnosis. (Robbins basic pathology,9th edition,pg no.553)